Which of the following is a ribozyme
1. Peptidyl transferase
2. Elongation factor 2
3. Primase
4. RNA polymerase

Correct answer: 1. Peptidyl transferase

Explanation: Peptidyl-tranferase is a ribozyme.